The following do not occur with asbestosis
1. Methemoglobinemia
2. Pneumoconiosis
3. Pleural mesothelioma
4. Pleural calcification

Correct answer: 1. Methemoglobinemia

Explanation: a lung disease resulting from the inhalation of asbestos particles, marked by severe fibrosis and a high risk of mesothelioma (cancer of the pleura). A history of dyspnea, pleuritic chest pain, fatigue, weight loss and pleural effusion in a former asbestos worker is suggestive of mesothelioma. Cigarette smoking greatly increases the risk of lung cancer in asbestosworkers Refer robbins 9/e